Which of the following is a significant distinguishing feature of viral conjunctivitis?
1. Significant eye pain
2. Globular purulent discharge
3. Clear discharge
4. Eye

Correct answer: 3. Clear discharge

Explanation: Significant eye pain or decreased visual acuity is not consistent with the diagnosis of viral conjunctivitis. The hallmark of bacterial conjunctivitis is a continuous globular purulent discharge seen at the lid margins and in the corners of the eye. Viral conjunctivitis typically has a clear discharge with occasional scant mucoid discharge. Both may present with a history of the eye "matted shut" in the morning. Ref: Levsky M.E., DeFlorio P. (2010). Chapter 2. Ophthalmologic Conditions. In K.J. Knoop, L.B. Stack, A.B. Storrow, R.J. Thurman (Eds), The Atlas of Emergency Medicine, 3e.